Main cell responsible for scar contraction is:
1. Myofibroblast
2. Fibroblast
3. Epithelial cell
4. Elastin

Correct answer: 1. Myofibroblast